Shortest acting non-depolarising neuromuscular blocker ?
1. Mivacurium
2. Pancuronium
3. Succinylcholine
4. Rapacurium

Correct answer: 1. Mivacurium

Explanation: Ans. is 'a' i.e., Mivacurium